Massive myoclonus is a hallmark of which stage of SSPE?
1. Stage 1
2. Stage 2
3. Stage 3
4. Stage 4

Correct answer: 2. Stage 2

Explanation: Ans. B. Stage 2Clinical stages of subacute sclerosis panencephalitis:StageClinical manifestationsStage IPersonality changes, failure in school, strange behaviorStage IIMassive, repetitive, and frequent myoclonic jerks, seizures and dementiaStage IIIRigidity, extrapyramidal symptoms, and progressive unresponsivenessStage IVComa, vegetative state, autonomic failure, and akinetic mutism